The following group of lymph nodes receives lymphatics from the uterus except:
1. External iliac
2. Internal iliac
3. Superficial inguinal
4. Deep inguinal

Correct answer: 4. Deep inguinal

Explanation: The uterus does not drain into the deep inguinal lymph nodes. Ref:Snell's Clinical Anatomy, 7th Edition, Pages 392-94